Which of the following anaesthetic agents have good analgesic property ?a) Ketamineb) Nitrous oxidec) Thiopentoned) Propofole) Midazolam
1. ab
2. a
3. ad
4. bc

Correct answer: 1. ab

Explanation: General anaesthetics with analgesic action → ketamine, trilene (trichloro ethylene), N2O, ether.